C terminal end of androgen receptor is concerned with
1. Ligand binding
2. Increasing biological half life
3. Increasing the affinity of receptor to DNA
4. Increasing the level of transcription

Correct answer: 1. Ligand binding

Explanation: Activation function 2 (AF-2), responsible for agonist-induced activity (activity in the presence of bound agonist)Ref: DM Vasudevan, 7th edition, page no: 669